40 years old Bank officer was told to be having illeocecal Tuberculosis (Bovine after thorough investigation. He told the physician that he had no body infected with tuberculosis in the family, but he was told by the Doctor that he acquired this infection from
1. Infected milk
2. Infected client
3. Contaminated vessel
4. Polluted water

Correct answer: 1. Infected milk